Acantholytic cells are :
1. Epidermal cells
2. Plasma cells
3. Keratinocytes
4. Giant cells

Correct answer: 3. Keratinocytes

Explanation: C. i.e. Keratinocytes